True about ectopic pregnancy:
1. Transvaginal USG-first imaging test of choice
2. Not Associated with decidual reaction
3. Doppler is of no significance
4. In ectopic interstitial ring sign is seen

Correct answer: 1. Transvaginal USG-first imaging test of choice

Explanation: If TVS reveals an intrauterine gestational sac,the diagnosis of ectopic can usually be ruled out .sometimes a psuedosac may be seen in an ectopic due to bleeding produced by separation of a decidual cast.(refer pgno:159 sheila 2 nd edition)